Which does not contribute to enterobiliary fistula
1. Gastric ulcer
2. Duodenal ulcer
3. Carcinoma gallbladder
4. Gallstones

Correct answer: 1. Gastric ulcer

Explanation: Internal biliary fistula Cholecystoduodenal fistula(72-80%) are MC biliary enteric fistulas followed by cholecysticolic fistula (8-12%). Etiology Calculous biliary tract disease (90%). Duodenal ulcer(6%) Neoplasm, trauma, Parasitic infestation and congenital anomalies (4%) Ref : Sabiston 20th edition Pgno :1507